Components of Tetralogy of Fallot is/are ?
1. VSD
2. Lt. Ventricular hypertrophy
3. Lt. Axis deviation
4. All

Correct answer: 1. VSD

Explanation: Ans. is 'a' i.e., VSD o In TOF right axis deviation seen. o Management of Anoxic spells/cyanotic spells or tet spells are : Knee chest position Propranolol : 0.1 mg/kg/IV Humidified oxygen Vasopressors : Methoxamine IM or IV drip Morphine 0.1 to 0.2 mg/kg subcutaneous inj Correction ofAnaemia. Correction of acidosis with sodium bicarbonate IV